Aniseikonia means –
1. Difference in the axial length of the eyeballs
2. Difference in the size of corneas
3. Difference in the size of pupils
4. Difference in the size of image formed by the two eyes

Correct answer: 4. Difference in the size of image formed by the two eyes

Explanation: Anisoeikonia is defined as a condition wherein the images projected on the visual cortex from the two retinae are abnormally unequal in size or shape.